Meningitis caused by Cryptococcus neoformans is most often acquired by
1. Head trauma
2. Primary gastrointestinal infection
3. Hematogenous spread of fungus from the lung
4. Orthopedic surgery

Correct answer: 3. Hematogenous spread of fungus from the lung

Explanation: C. neoformans causes cryptococcus, especially cryptococcal meningitis. C. neoformans is an oval, budding yeast surrounded by a large polysaccharide capsule. It occurs widely in nature and grows abundantly in soil containing bird droppings. The organism is most often inhaled and spread hematogenously from the lungs. Lung infections range from asymptomatic to pneumonia. Cryptococcosis is the most common encapsulated infection in the immunocompromised host. The organism disseminates hematogenously to the central nervous system (meningitis) andother organs. It can be cultured from cerebral spinal fluid (CSF) or diagnosed by serologic tests for either antibody or antigen. Amphotericin B and flucytosine are used to treat cryptococcal meningitis.